The most commonly implicated neurotransmitter in the aetiology of schizophrenia is
1. Norepinephrine
2. Serotonin
3. Dopamine
4. GABA

Correct answer: 3. Dopamine

Explanation: Schizophrenia is presently thought to be probably due to a functional increase of dopamine at the postsynaptic receptor, though other neurotransmitters such as serotonin (especially 5-HT2 receptors), GABA and acetylcholine are also presumably involved. Ref: A Short Textbook of Psychiatry, Niraj Ahuja, 7th Edition, pg. no. 63